Tetralogy of fallots includes all except
1. Pulmonary stenosis
2. VSD
3. ASD
4. RVH

Correct answer: 3. ASD

Explanation: TOF include VSD,RVH,PS Ref : Ghai essential of pediatrics, eighth edition, p.no:420